A 16-year-old male is found to have a mental age of 9 years on I.Q. testing. He has
1. Mild Intellectual Disability
2. Moderate intellectual disability
3. Severe intellectual disability
4. Profound intellectual disability

Correct answer: 1. Mild Intellectual Disability

Explanation: IQ is (Mental age/ Chronological age) multiplied by 100. Here is it (9/16)* 100 which is 56. IQ is classified as Mild (50-69), Moderate (35-49), Severe (20-34) and Profound (<20). Ref: The ICD-10 Classification of behavioural and mental disorders, CDDG, pg 171.